Which is X-linked dominant conditions ?
1. Phosphate diabetes
2. Hemophilia
3. Gaucher's disease
4. Cystic fibrosis

Correct answer: 1. Phosphate diabetes